Warfarin acts by inhibiting the activation of all the following factors except:-
1. Factor III
2. Factor VII
3. Factor IX
4. Factor X

Correct answer: 1. Factor III

Explanation: Warfarin acts by inhibiting the activation of vitamin K dependent clotting factors- directly inhibiting Vit K epoxide reductase These factors include clotting factors II, VII, IX and X.